True about Barrett's oesophagus -
1. Sequence of prolonged G.E.R.
2. It is premalignant
3. Lower oesophageal mucosa is replaced by intestinal type of epithelium
4. All

Correct answer: 4. All

Explanation: Ans. is 'a' i.e. Sequence of prolonged GE reflux; 'b' i.e. It is premalignant; 'c' i.e. Lower esophageal mucosa is replaced by intestinal type